Features seen in hemolytic anemia are all except :
1. Tear drop and Burr cells
2. Haptoglobin
3. Reticulocytosis
4. Hemoglobinuria

Correct answer: 1. Tear drop and Burr cells

Explanation: Tear drop and Burr cells [Ref Harrison 171h/e p652 16th /e p. 6071 Burr cells are seen in uremia. Tear drop cells are seen in myelofibrosis. Haptotoglobin is an a -globulin present in high concentration in serum. It binds to free haemoglobin produced as a result of hemolysis. The hemoglobin-haptoglobin complex is rapidly cleared from the plasma by mononuclear phagocyte system. Thus the plasma haptoglobin level is low or absent in hemolytic anemias